The minimum recommended level of residual chlorine in the drinking water is for one hour
1. 0.5 mg/L
2. 0.25 mg/L
3. 1.0 mg/L
4. 2.0 mg/L

Correct answer: 1. 0.5 mg/L